Painful nodule on the scalp with hair loss in a 10 year old is best treated by:
1. Ketaconazole
2. Griseofulvin
3. Amphotericin B
4. Antifungal shampoo

Correct answer: 2. Griseofulvin

Explanation: Ans. B i.e. Griseofulvin The presentation is suggestive of kerion (Tinea capitis)